Cardiac output is increased by all except -
1. Exercise
2. Pregnancy
3. Hot atmosphere
4. Standing from lying down

Correct answer: 4. Standing from lying down

Explanation: Ans. is 'd' i.e., Standing from lying down Effect of various conditions on cardiac outputNo changeo Sleep o Moderate changes in environmental temperatureIncreaseo Anxiety and excitement (50-100%) o Eating (30%) o Exercise (up to 700%) o High environmental temperature o Pregnancy o EpinephrineDecreaseo Sitting or standing from lying position (20-30%) o Rapid arrhythmias o Heart disease